Which of the following is the preferred suture material for vascular anastomosis?
1. Non-absorbable, elastic
2. Non-absorbable, non-elastic
3. Absorbable, elastic
4. Absorbable, non-elastic

Correct answer: 2. Non-absorbable, non-elastic

Explanation: Non-absorbable, non-elastic suture (prolene) is the preferred suture material for vascular anastomosis.e.g. polypropylene."